In a case of retrocecal appendicitis which movement aggravates pain
1. Flexion
2. Extension
3. Medial rotation
4. Lateral rotation

Correct answer: 2. Extension

Explanation: Hyperextension of the hip joint may induce abdominal pain when the degree of psoas spasm is insufficient to cause flexion of the hip.Rigidity is often absent, and even application of deep pressure may fail to elicit tenderness (silent appendix), the reason being that the caecum, distended with gas, prevents the pressure exerted by the hand from reaching the inflamed structure Ref: Bailey & Love's Short Practice of Surgery,E25,Page-1208